Osteochondritis in Kohler's disease affects which bone ?
1. Lunate
2. Patella
3. Navicular
4. Femur head

Correct answer: 3. Navicular

Explanation: types of osteochondritis Bones affected Kohler Navicular Keinbock Lunate Perthes Femur head Johanson- Larsens lower pole of patella REF : MAHESWARI 9TH ED